A 6-year-old child with recurrent URTI with mouth breathing and failure to grow with the high arched palate and impaired hearing.treatment of choice is -
1. Tonsillectomy
2. Grommet insertion
3. Myringotomy with grommet insertion
4. Adenoidectomy with grommet insertion

Correct answer: 4. Adenoidectomy with grommet insertion

Explanation: Adenoidectomy with grommet insertionAns. 'd' i.e. Adenoidectomy with grommet insertion Hearing impairment and the option of myringotomy and grommet insertion suggests that the patient is also suffering from Serous otitis media (glue ear/secreting otitis media) which is one of the complications of adenoid hyperplasia.Treatment of glue ear requires myringotomy and grommet insertion.